"Aldehyde" test is for:
1. Fasciola
2. Leishmania
3. Toxoplasma
4. Toxocara

Correct answer: 2. Leishmania

Explanation: Leishmania